All of the following drugs are atypical antipsychotics EXCEPT ?
1. Olanzapine
2. Clozapine
3. Risperidone
4. Thioridazine

Correct answer: 4. Thioridazine